For satisfactory vision the minimium illumination accepted is -
1. 15 to 20 foot candles
2. 30 to 40 candles
3. 40 to 50 candles
4. 70 to 90 candles

Correct answer: 1. 15 to 20 foot candles

Explanation: An illumination of 15 to 20 foot-candles is accepted as a minimum basic requirement for satisfactory vision. 1 FC = 10.76 Lux Park's Textbook of Preventive and Social Medicine, 25th Edition, Pg 799